Multiple odontogenic keratocyst are associated with:
1. Gardner's syndrome
2. Gortin-Goltz syndrome
3. Goldenhar's syndrome.
4. Grinspan syndrome

Correct answer: 2. Gortin-Goltz syndrome